Which gas is NOT responsible for green house affect-
1. Carbon monoxide
2. Ozone
3. Nitrous oxide
4. All

Correct answer: 1. Carbon monoxide

Explanation: Ans. is 'a' i.e., Carnhon monoxide Green house effect o The greenhouse effect is the process by which absorption and emission of infrared radiation by gases in the atmosphere warm a planet's lower atmosphere and surface.